Which of the following is affected in spinal paralytic polio:
1. Anterior horn cells
2. Spinothalamic tract
3. Cerebral cortex
4. Cranial nerve lesion

Correct answer: 1. Anterior horn cells

Explanation: Ans. A: Anterior horn cells Spinal paralytic poliomyelitis, most common form of paralytic poliomyelitis, results from a lower motor neuron lesion of the anterior horn cells of the spinal cord and affects the muscles of the legs, arms and/ or trunk Polio: Tonsillectomy and intramuscular injections should be avoided in polio epidemic because of risk of paralytic polio increases then Cause of death in polio: Respiratory paralysis Pulse polio was introduced in 1995 Pulse polio is give below 5 years of age A country is said to be polio free if no polio case has been confirmed for last 5 years In acute flaccid paralysis, examination for residual paralysis should be done after 60 days